Plasminogen domain structurally resembles which of the following?
1. Fibrinogen
2. LDL receptor
3. Apolipoprotein (a)
4. Prothrombin

Correct answer: 3. Apolipoprotein (a)

Explanation: Apo(a) of Lp(a) is structurally related to plasminogen and appears to be atherogenic by interfering with fibrinolysis of thrombi on the surfaces of plaques. Improant - Apo(a) shares a remarkable degree of homology with plasminogen in 3 main respects: a) multiple tandem repeats of domains similar to kringle four b) a single region resembling kringle five c) pseudoprotease segment. Plasminogen and apo(a) are genetically linked on chromosome 6 and may have arisen from a common ancestral gene. Ref: Hajjar K.A., Marcus A.J., Muller W.A. (2010). Chapter 117. Vascular Function in Hemostasis. In J.T. Prchal, K. Kaushansky, M.A. Lichtman, T.J. Kipps, U. Seligsohn (Eds), Williams Hematology, 8e.